The tilting of a cast during surveying in a RPD changes the
1. Position of undercuts
2. Path of insertion
3. Amount of undercut
4. All of the above

Correct answer: 4. All of the above